Test available for AIDS virus detection includes -
1. Karpas test
2. Western blot test
3. ELISA test
4. All of the above

Correct answer: 4. All of the above